Epithelial xerosis of the conjunctiva is caused by
1. Trachoma
2. Xerophthalmia
3. Diphtheria
4. Pemphigus

Correct answer: 2. Xerophthalmia

Explanation: Epithelial xerosis:  It occurs due to hypovitaminosis -A. 
Epithelial xerosis may be seen in association with night blindness or as a part and parcel of the xerophthalmia (the term which is applied to all ocular manifestations of vitamin A deficiency which ranges from night blindness to keratomalacia